Onychomycosis is most commonly caused by ?
1. a) Trichophyton rubrum
2. Trichophyton mentagrophytes
3. Epidermatophyton floccosum
4. a) Candida

Correct answer: 1. a) Trichophyton rubrum

Explanation: Ans. is 'a' i.e., Trichophyton rubrum Tinea Unguium (Onychomycosis) Tinea unguium is dermatophytic infection of fingers and toe nails. Most common causative species is T-rubrum. Toe nails are more commonly involved. T. Unguium may be of two types : ? Distal subungal onychomycosis : - This is most common type of fungal infection of nail (90%). It starts at the distal edge of the nail plate and slowly grows inwards to involve entire nail plate. Proximal Subungal onychomycosis : - Starts at the base of nail and slowly involves the entire nail plate.